Jail fever is related to
1. Rickettsia prowazekii
2. Rickettsia conorii
3. Rickettsia Akari
4. Rickettsia Typhi

Correct answer: 1. Rickettsia prowazekii

Explanation: Epidemic typhus due to infection with R. Prowazekii is transmittal by the human body louse which lives on clothes and is found in poor hygienic conditions (especially in jails) and usually in cold areas.